The first case of Severe Acute Respiratory Syndrome (SARS) was reported in:
1. 1999
2. 2000
3. 2001
4. 2002

Correct answer: 4. 2002

Explanation: The first case of SARS was detected in 2002 in China. Ref: Park 21st edition, page 163.